True about pemphigus vulgaris A/E:
1. Subepidermal
2. Autoimmune disease
3. Tzanck smear shows acanthoyltic cells
4. Antibody are formed against desmogleins

Correct answer: 1. Subepidermal

Explanation: i.e. Subepidermal Ref : Thomas b Habif 6th Ed.